Mesophilic organisms are those that grow best at temperature of -
1. -20o C to -7o C
2. -7o C to +20oC
3. 25o C to 40o C
4. 55o C to 80o C

Correct answer: 3. 25o C to 40o C

Explanation: Bacteria which grow best at temperatures 25o C to 40o C are Mesophilic organisms Examples: Pseudomonas aeroginosa,gonococus Ref: Ananthanarayan & paniker's Textbook of Microbiology 9th edition pg no 25